A 33-year-old woman is seen for evaluation of infertility. She complains of dyspareunia. On vaginal examination, tender nodularity along the uterosacral ligaments is noted. What is the diagnosis?
1. Adenomyosis
2. Diethylstilbestrol (DES)-related disease
3. Subserosal fibroids
4. Endometriosis

Correct answer: 4. Endometriosis

Explanation: Tender uterosacral ligament usually are a sign of endometriosis. Although the other conditions listed may be associated with some form of pelvic pain, they do not produce tender uterosacral ligaments.